Digibind is used to
1. Potentiate the action of Digoxin
2. Decrease the metabolism of Digoxin
3. Treate Digoxin toxicity
4. Rapidly digitalize the patients

Correct answer: 3. Treate Digoxin toxicity

Explanation: DIGIBIND (digoxin immune fab) , Digoxin Fab (Ovine), is indicated for treatment of potentially life-threatening digoxin intoxication.3 Although designed specifically to treat life-threatening digoxin overdose, it has also been used successfully to treat life-threatening digitoxin overdose.3 Since human experience is limited and the consequences of repeated exposures are unknown, DIGIBIND (digoxin immune fab) is not indicated for milder cases of digitalis . Refer kDT 6/e p499